Tetracycline inhibits protein synthesis by ?
1. Inhibiting initiation and causing misreading of mRNA
2. Binding to 30 S subunit and inhibits binding of aminoacyl tRNA
3. Inhibiting peptidyl transferase activity
4. Inhibiting translocation

Correct answer: 2. Binding to 30 S subunit and inhibits binding of aminoacyl tRNA

Explanation: Ans. is 'b' i.e., Binding to 30S Subunit and inhibits binding of aminoacyl tRNA o Tetracycline interact with small ribosomal subunits, blocking access of aminoacyl- tRNA to the mRNA-ribosome complex. o Tetracyclines bind to 30 S subunit of ribosome.